UV light damage to the DNA leads to:
1. Formation of pyrimidine dimers
2. No damage to DNA
3. DNA hydrolysis
4. Double stranded breaks

Correct answer: 1. Formation of pyrimidine dimers

Explanation: Ans. A. Formation of pyrimidine dimers(Ref: Harper 31/e page 374)DNA lesions formed by UV light damage are Bulky adducts and Pyrimidine Dimers